All are true about the Sympathetic vasodilator system except
1. It originates from the frontal cortex
2. It has a strong basal tone
3. The fibres to skeletal muscles are cholinergic
4. After sympathectomy, the blood vessels dilate

Correct answer: 2. It has a strong basal tone

Explanation: There is no tonic activity in the vasodilator fibers(sympathetic), but the vasoconstrictor fibers to most vascular beds have some tonic activity Sympathetic noradrenergic fibers end on blood vessels in all parts of the body to mediate vasoconstriction- So sympathectomy cause vasodilation Resistance vessels in skeletal muscles are innervated by vasodilator fibers, which, although they travel with the sympathetic nerves, are cholinergic (sympathetic cholinergic vasodilator system) Ref: Ganong's Review of Medical Physiology Twenty-Third Edition Page No:556